Which of the following drugs inhibits the release of acetylcholine from cholinergic nerves in the submucosa and myenteric complex
1. Pectin
2. Docusate
3. Loperamide
4. Cholestyramine

Correct answer: 3. Loperamide

Explanation: Loperamide:- It is an opiate analogue with major peripheral u opioid and additional weak anti-cholinergic property. As a constipating agent it is much more potent than codeine. Because of poor water solubility--little is absorbed from the intestines. Entry into brain is negligible--CNS effects are rare and occur only with high doses; no abuse liability. The duration of action is longer (12 hr). Ref:- kd tripathi; pg num:-686